Vertical crest in fundus of the internal auditary canal is k/a:
1. Bill's bar
2. Ponticul us
3. Cog
4. Falciform crest

Correct answer: 1. Bill's bar

Explanation: A ie Bill's Bar Vertical crest in fundus of internal auditory canal is K/a Bill's -bar(2. And it is used as a surgical landmark for facial nerve identification.